36 year old woman is found tested positive for BRCA 1 mutation. Her mother died due to ovarian cancer. She wishes to lower risk of ovarian cancer. Her general condition is otherwise normal. Which surgery would you recommend
1. Bilateral oophorectomy
2. Subtotal hysterectomy and bilateral oophorectomy
3. Bilateral salpingo oophorectomy
4. Total hysterectomy and BSO.

Correct answer: 3. Bilateral salpingo oophorectomy

Explanation: Removing both fallopian tubes and ovaries is the best way to reduce the risk of ovarian cancer (90%) and premenopausal breast cancer (50%).